Which of the following is true about penicillin:
1. Acid-resistant.
2. Excreted mainly through the kidney.
3. More concentrated in prostatic fluid.
4. Is a broad-spectrum antibiotic.

Correct answer: 2. Excreted mainly through the kidney.